Following is a feature of Fuch's hetero chromic iridocyclitis -
1. Heterochromia of iris
2. Keratin precipitates
3. Posterior subcapsular cataract
4. All the above

Correct answer: 4. All the above

Explanation: Ans. is 'd' i.e.. All the above Fuch's heterochromic iridocyclitis (Fush'S uveitis syndrome) o It is a form of anterior and intermediate uveitis. o The condition is usually unilateral and chronic in nature and is characterized by a chronic non-granulomatous uveitis and eventually results in iris heterochromia (a change in the color of the iris). o The disease has following characteristic features : Heterochromia of iris Diffuse stromal iris atrophy Fine KPs at the back of the cornea Faint aqueous flare The absence of posterior synechiae A fairly common rubeosis iridis, sometimes associated with neovascularization of the angle of the anterior chamber. Comparatively early development of complicated cataract and secondary glaucoma (usually open-angle type). Glaucoma has been reported in 10-59% of cases. Treatment o Fuch's heterochromic uveitis responds variably to steroids and cycloplegics. The complications of long-term use of these drugs may at times outweigh their potential benefits. Therefore, treatment with topical steroids is given to iritis which is sufficiently active to require the treatment, otherwise, the patient is routinely followed without giving any treatment. o Cataract responds well to most forms of intraocular surgeries, including the standard IOL implantation. Hyphemia may occur because of rubeosis iridis (neovascularization of iris}, o Glaucoma control may be somewhat more problematic, with surgical options indicated for later forms of the disease.